The condition in which the occlusal plane of the teeth lies nearer the Frankfurt plane than it does in normal occlusion is called
1. Abstraction
2. Contraction
3. Protraction
4. None of the above

Correct answer: 4. None of the above